Ailurophobia is
1. Fear of height
2. Fear of water
3. Fear of cats
4. Fear of strangers

Correct answer: 3. Fear of cats

Explanation: Acrophobia : Fear of height.
Hydrophobia : Fear of water.
Ailurophobia : Fear of cats.
Xenophobia : Fear of strangers.